The vein in the cardiac anterior interventricular groove is
1. Great Cardiac Vein
2. Anterior cardiac vein
3. Posterior cardiac vein
4. Thebesian vein

Correct answer: 1. Great Cardiac Vein

Explanation: The Great cardiac vein accompanies first the anterior interventricular artery and then the left coronary artery to enter the left end of the coronary sinus. B D CHAURASIA'S HUMAN ANATOMY UPPER LIMB THORAX-VOLUME-1 FIFTH EDITION Page no-254